The lymph nodes first involved in cancer of the skin of the scrotum are -
1. Superfical inguinal
2. External iliac
3. Para aortic
4. Gland of Cloquet

Correct answer: 1. Superfical inguinal

Explanation: • Squamous cell carcinoma of scrotumQ, most commonly resulted from exposure to environmental carcinogens including chimney soot, tars, paraffin and petroleum products.
• Superficial inguinal lymph nodes are the first lymph nodes involved. 
Risk Factors
• Most cases results from poor hygiene and chronic inflammation.
Diagnosis
• Diagnosis is established by biopsy of scrotal skin.
Treatment
• Wide excision with 2 cm margins should be performed for malignant tumors.
• Prognosis correlates with presence or absence of nodal involvement.